You have a patient that might have a urinary tract infection (UTI). Which statement by the patient suggests that a UTI is likely?
1. “I pee a lot.”
2. “It burns when I pee.”
3. “I go hours without the urge to pee.”
4. “My pee smells sweet.”

Correct answer: 2. “It burns when I pee.”

Explanation: A common symptom of a UTI is dysuria. A patient with a UTI often reports frequent voiding of small amounts and the urgency to void.

Option D: Urine that smells sweet is often associated with diabetic ketoacidosis.